A 15-year-old-boy suffers from vesiculating painful ulcers, there is also oral temperature of 103° F since 3 days and lymphadenopathy. The most likely diagnosis is:
1. Herpes zoster
2. Acute herpetic gingivostomatitis
3. Major apthae
4. Recurrent aphthae

Correct answer: 2. Acute herpetic gingivostomatitis